Which of the following changes does not occur in malignant hypertension?
1. Peticheal Haemorrhages on cortical surface
2. Fibrinoid necrosis of arterioles
3. Intimal concentric thickening
4. Hyaline arteriosclerosis

Correct answer: 4. Hyaline arteriosclerosis

Explanation: "Malignant" Hypertension:- Some patients with HT have rapidly progressive BP elevations with target organ injury including retinal haemorrhages associated with papilloedema, encephalopathy, and declining kidney function. They have >50% mortality rates in 6-12 months, hence the designation "malignant." - These patients had vascular lesions called "fibrinoid necrosis" with the breakdown of the vessel wall, deposition of eosinophilic material including fibrin, and a perivascular cellular infiltrate. Fibrinoid necrosis- obliteration of glomeruli and loss of tubular structures- Progressive kidney failure - without dialysis leads to early mortality in untreated malignant-phase hypertension- Endothelial injury can induce microangiopathic hemolysis- A separate lesion may occur in the larger interlobular arteries in some patients with the hyperplastic proliferation of the vascular wall cellular elements, deposition of collagen, and separation of layers designated the "onion skin" lesion.- Treatment: Antihypertensive therapy is the mainstay of therapyRef: Harrison's 18/e p2047